Left sided portal hypertension is best treated by ?
1. Splenectomy
2. Portocaval shunt
3. Leno-renal shunt
4. Spleno-renal shunt

Correct answer: 1. Splenectomy

Explanation: Ans. is 'a' i.e Splenectomy Portal hypertension due to isolated splenic vein thrombosis is k/a left sided portal hypertension. In left sided portal hypertension the pressures in the portal and superior mesenteric veins are normal. There is gastrosplenic venous hypertension leading to formation of gastric varices (not esophageal varices). The splenic venous blood , blocked from its normal route due to splenic vein thrombosis, flows through the short gastric vessels to the gastric fundus and then into the left gastric vein, continuing toward the liver. Causes of isolated splenic vein thrombosis are - pancreatitis - neoplasm - trauma Treatment --> by splenectomy